Cyclic trend is shown by ?
1. Polio epidemic
2. Rabies
3. Influenza pandemic
4. Malaria

Correct answer: 3. Influenza pandemic

Explanation: Ans. is 'c' i.e., Influenza pandemic